Following are features of ischemia in Anterior choroidal artery territory except -
1. Hemiparesis
2. Hemisensory loss
3. Homonymous hemianopia
4. Predominant involvement of the anterior limb of internal capsule

Correct answer: 4. Predominant involvement of the anterior limb of internal capsule